A 34-year-old man is pushing some heavy weights while doing squats. Unfortunately, while maxing out, he drops the weight and immediately grabs at his upper thigh, writhing in pain. The man is admitted to the emergency department and during physical examination is diagnosed with a femoral hernia. What reference structure would be found immediately lateral to the herniated structures
1. Femoral Vein
2. Femoral Artery
3. Pectineus Muscle
4. Femoral Nerve

Correct answer: 1. Femoral Vein

Explanation: In a Femoral Hernia, abdominal contents are forced through the femoral ring, which is just lateral to the Lacunar Ligament (of Gimbernant) and just medial to the Femoral Vein. The Femoral Vein would be found immediately lateral to the Femoral Hernia. The adductor longus muscle as well as the pectineus muscle would be found deep and medial to the hernia.